Which antitubercular drug inhibits mycolic acid synthesis ?
1. INH
2. Streptomycin
3. Rifampicin
4. Ethambutol

Correct answer: 1. INH

Explanation: Ans. is'a'i.e., INHINH + Inhibits synthesis of mycolic acid which is a component of mycobacterial cell wall.Pyrazinamide -+ Inhibits synthesis of mycolic acid.